Commonest age group for infant botulism is
1. 1 to 3 weeks
2. 2 to 4 months
3. 10 to 12 months
4. 7 to 9 Months

Correct answer: 2. 2 to 4 months